False about myositis ossificans progressiva (child with heterotopic ossification) is?
1. Pneumonia is common
2. Life longevity is normal
3. Most common site involved is the spine
4. Onset is before 6 years

Correct answer: 2. Life longevity is normal

Explanation: Myositis ossificans progressiva is a autosomal dominant disease is characterized by heterotopic ossification most commonly involving spine and congenital deformities of hand and feet. The disease usually starts before 6 years of age. In myositis ossificans progressiva, the life expectancy is decreased and the commonest cause of death is lung diseases. Ref: Harrison 17/e, Page 2416.